A 45 year old male has multiple grouped vesicular lesions present on the TN segment dermatome associated with pain. The most likely diagnosis is
1. Herpes zoster
2. Dermatitis herpetiformis
3. Herpes simplex
4. Scabies

Correct answer: 1. Herpes zoster

Explanation: Painful vesicles along the distribution of a dermatome suggest the diagnosis of Herpes zoster.